A 60 year old man presented with fatigue, weight lossand heaviness in left hypochondrium for 6 months.The hemogram showed Hb. lOgm/dL, TLC 5lakhs/mm3, platelet count 4 lakhs/mm3, DLC;neutrophil 55%, lymphocutes 4%, monocytes 2%,basophils 6%, metamyelocytes 10%, myelocytes18%, promyelocytes 2% and blasta 3%. The mostlikely cytogenetic abnormality in this case is
1. t (1; 21)
2. t (9; 22)
3. t (15; 17)
4. Trisomy 21

Correct answer: 2. t (9; 22)

Explanation: . t (9; 22)